Obstructive jaundice may be seen as a side effect of therapy with -
1. Isoniazid
2. Reserpine
3. Chlorpromazine
4. Furosemide

Correct answer: 3. Chlorpromazine

Explanation: cholestatic jaundice is seen with phenothiazine group of antipsychotics-chlorpromazine,triflupromazine,Thioridazine,fluphenazine It occurs between 2-4 weeks of starting the therapy and calls for withdrawal of drug. It is rare with haloperidol. 2.Other drugs causing cholestatic jaundice are-prochlorperazine,erythromycin estolate,anabolic and contraceptive steroids. Ref:KDtripathi pg no. 445.Harrison 20th edition pg no. 280 table:45-3